A protoplast is best characterized as a bacterial cell:
1. With a cell wall but free of a capsule
2. Containing a cell wall and a capsule
3. Free of a cell wall and a capsule
4. Uniquely sensitive to penicillin

Correct answer: 3. Free of a cell wall and a capsule